True about IHPS is all except -
1. Males commonly affected
2. Commonly presents at 3-8 weeks
3. X-Ray shows gastric dilation and gasless small intestines
4. USG is of no use in diagnosis

Correct answer: 4. USG is of no use in diagnosis